Which of the following is not true regarding Hemophilia?
1. Normal platelets
2. Deficient factor VIII
3. Deficient factor IX
4. Increased BT

Correct answer: 4. Increased BT

Explanation: Since the platelets count and function is normal the bleeding time is normal. The following are the common lab findings of Haemophilia Laboratory findings Results PT Normal APTT Abnormal Bleeding Time Normal Platelet count Normal Factor VIII:C assay (in Hemophilia A) Abnormal Factor IX assay (in Hemophilia B) Abnormal